Most common skin manifestation of radiotherapy:
1. Erythema
2. Atopy
3. Hyperpigmentation
4. Dermatitis

Correct answer: 1. Erythema

Explanation: Ans. Erythema